Which of the following types of hypertriglyceridemia is associated with an increase in chylomicron and VLDL remnants?
1. Type I
2. Type IIa
3. Type III
4. Type IV

Correct answer: 3. Type III

Explanation: Type III 

Type III hyperlipoproteinemia is due to abnormalities in apo-E, which is the ligand for LDL receptor for hepatic uptake of chylomicron remnants and VLDL remnants (IDL).
Therefore, levels of chylomicron remnant and IDL (VLDL remnants) are increased with resultant increase in TGs and cholesterol.